This inhibitor of ba terial protein synthesis has a narrow spectrum of antibacterial activity. It has been used in the management of abdominal abscess caused by Bacteroides fragilis, but antibiotic associated colitis has occurred. Which of the following drugs is being described?
1. Clarithromycin
2. Clindamycin
3. Minocycline
4. Ticarcillin

Correct answer: 2. Clindamycin

Explanation: (Ref;KDT 6/e p731, 732) It acts by inhibiting protein synthesis (. inhibition of translocation). It is effective against anaerobic organisms. Pseudomembranous colitis and hepatotoxicity are important adverse effects. It is secreted in bile, therefore can be used safely in pattients with renal dysfunction.